Which of the following alpha blocker is useful in BPH?
1. Phentolamine
2. Prazosin
3. Tolazoline
4. Phenoxybenzamine

Correct answer: 2. Prazosin

Explanation: BPH is treated with the alpha-blocker terazosin, prazosin, or doxazosin to relax the prostate, and finasteride or dutasteride to decrease the mass of the prostate. Must know: Prazosin is a peripheral acting alpha-adrenergic blocker used primarily to treat hypertension. Phentolamine is an a-adrenergic blocker used for controlled hypotension, treatment of perioperative hypertensive crisis that may accompany pheochromocytoma removal, prevention or treatment of dermal necrosis or sloughing after intravenous administration or extravasation of barbiturate or sympathomimetic. Tolazoline is a competitive a1 and a2 adrenergic blocking agent. It also relaxes vascular smooth muscles, producing a peripheral vasodilatation. Phenoxybenzamine is an irreversible, non-competitive a1 and a2 adrenergic receptor antagonist which decreases vascular resistance and lowers both the supine and the standing blood pressure. Ref: Essentials of Pharmacology for Health Occupations By Ruth Woodrow, Bruce J. Colbert, David M. Smith, 2010, Page 474; Advanced Therapy of Prostate Disease By Martin I. Resnick, Ian Murchie Thompson, 2000, Page 533; Goodman and Gillman's, 11th edition, Page 172,173,183.